Which of the following is not a feature of anterior uveitis
1. Cells in anterior chamber
2. Normal pupil
3. Keratic precipitates
4. Corneal edema

Correct answer: 2. Normal pupil

Explanation: Anterior uveitis. It is inflammation of the uveal tissue from iris up to pars plicata of the ciliary body.It may be subdivided into :Iritis, in which inflammation predominantly affects the iris.Iridocyctitis in which iris and pars plicata part of the ciliary body are equally involved, andCyclitis, in which pars plicata part of the ciliary body is predominantly affected.In an active stage of anterior uveitis, cellular deposits are observed in the angle of anterior chamber by gonioscopic examination.Keratic precipitates (KPs) are proteinaceous cellular deposits occurring at the back of the cornea.Pupils are small and irregular.